Colonic polyp that has maximum chance of malignant change -
1. Hyperplastic polyp
2. Adenomatous polyp
3. Juvenile polyp
4. Polyp of Peutz Jegher syndrome

Correct answer: 2. Adenomatous polyp